Target interventions of National AIDS Control Organisation include all, except?
1. Detection & treatment for sexually transmitted infections
2. Abscess prevention & management in injecting drug users
3. Condom promotion & distribution
4. Provision of lubricants to Injecting drug users

Correct answer: 4. Provision of lubricants to Injecting drug users

Explanation: Target interventions under National AIDS Control Organisation : - Detect & treat sexually transmitted infections - Condom promotion through social marketing & condom distribution. - Behavior change communication; Creating enabling environment with community involvement & participation. - Linkages to integrated counselling & testing centres. - Specific interventions for Injecting drug users like: Distribution of clean needles, syringes. Abscess prevention & management. Opioid substitution therapy. Linkage with detoxification/rehabilitation services - Specific interventions for transgenders & homosexual men : Provision of lubricants. Specific interventions for TG/hijra populations. Provision of project-based STI clinics.